Serious, adverse behavioral reactions, including hostility, aggression, and suicidal thoughts and behaviors are associated with which of the following drugs?
1. Pregabalin
2. Topiramate
3. Levetiracetam
4. Lamotrigine

Correct answer: 3. Levetiracetam

Explanation: Levetiracetam is a pyrrolidine, and is FDA-approved for adjunctive therapy for myoclonic, focal-onset, and generalized onset tonic-clonic seizures in adults and children as young as 4 years old. Its s/e includes: Somnolence, anxiety, confusion, imbalance, double vision, dizziness, GI distress or nausea, and weight gain. Adverse behavioral reactions, including hostility, aggression,and suicidal thoughts and behaviors, independent of clinical history of psychiatric disorder are also seen.